What is the best prognostic indicator of multiple myeloma at the time of diagnosis ?
1. Number of myeloma cells in the marrow
2. Beta 2 microglobulin
3. Alkaline phosphatase level
4. Hypercalcemia

Correct answer: 2. Beta 2 microglobulin

Explanation: Ans. is 'b' i.e., Beta-2 Microglobulins o Serum /32 microglobulin is the single most powerful predictor of survival and can substitute for staging.P2 Microglobulin level :< .004g/L Median survival of 43 months.> .004 g/L Median survival of only 12 months.